Which is not a component of Lofgren syndrome
1. Erythema nodosum
2. Bilateral hilar enlargement
3. Joint symptoms
4. Facial palsy

Correct answer: 4. Facial palsy

Explanation: Lofgren's syndrome consists of erythema nodosum and hilar adenopathy on chest roentgenogram. In some cases, periarticular arthritis may be identified without erythema nodosum. Lofgren's syndrome is associated with a good prognosis, with >90% of patients experiencing disease resolution within 2years.Heerfordt - Uveoparotid fever with facial palsyReference: Harrison's Principles of Internal Medicine; 19th edition; Chapter 390; Sarcoidosis